Diagnostic radiology is helpful in all of the following except:
1. Identifying pathosis
2. Determining root anatomy
3. Determining pulp anatomy
4. Determining pulp responsiveness

Correct answer: 4. Determining pulp responsiveness